Which of the following statements about hematochromatosis is not true
1. Hypogonadism may be seen
2. Arthropathy may occur
3. Diabetes mellitus may develop
4. Desferrioxamine is treatment of choice

Correct answer: 4. Desferrioxamine is treatment of choice

Explanation: Ans. is'd' i.e., Desferrioxamine is treatment of choice